The period of normalcy is seen between two psychosis. The diagnosis is:
1. Schizophrenia
2. Manic depressive psychosis
3. Alcoholism
4. Depression

Correct answer: 2. Manic depressive psychosis

Explanation: Manic depressive psychosis was the older name for bipolar disorder. In bipolar disorder, in between the episodes, patient is usually normal. Bipolar disorder: Episodes of - both mania (continuing or at least 1 week) and depression (bipolar I disorder) -both hypomania (continuing or at least 4 days) and depression (bipolar II disorder)